A newly married couple, the woman is having irregular menstruation. What is the contraceptive of choice?
1. Barrier method
2. OCP
3. Calendar method
4. Progesterone only pills

Correct answer: 2. OCP

Explanation: - Contraceptive of choice in above case is OCP Non contraceptive benefits of use of oral contraceptives Help in treating Menstrual disturbances: irregularity, dysmenorrhea, menorrhagia, ovulation pain Cancers: protective for endometrial and ovarian cancers and choriocarcinoma Reduction in Benign tumors: benign breast disease, ovarian cysts Treat Endometriosis Acne improvement Inhibition of hirsutism progression Decrease incidence of Rheumatoid arthritis Reduce Anemia and malnutrition: by preventing pregnancy and decreasing menorrhagia Increase bone density